For a tooth with a fractured crown with pulp exposure all of the following treatments are possible except:
1. Direct pulp capping.
2. Indirect pulp capping.
3. Pulpotomy.
4. Pulpectomy.

Correct answer: 2. Indirect pulp capping.

Explanation: For a tooth with a fractured crown with pulp exposure, four kinds of treatment are possible:

Direct pulp capping
Pulpotomy (pulp is vital)
Apexification (pulp is necrotic)
Pulpectomy (endodontic treatment)